All of the followimg statements are NOT true of Klebsiella pneumonia -
1. Upper lobe involvement
2. Bulging fissure sign
3. Ampicillin is drug of choice
4. It is otherwise known as Friedlander's pneumonia

Correct answer: 3. Ampicillin is drug of choice